Which of the following extra ocular muscle is not supplied by the oculomotor nerve?
1. Medial rectus
2. Lateral rectus
3. Inferior oblique
4. Levator palpebrae superioris

Correct answer: 2. Lateral rectus

Explanation: Actions of Extra-ocular muscles